Insulin secretion is induced by following EXCEPT:
1. Growth hormone
2. Placental lactogen
3. Somatostatin
4. Estrogens

Correct answer: 3. Somatostatin

Explanation: Ans. c (Somatostatin). (Ref. Guyton 11th/pg. 968; Table 78-1)FACTORS AFFECTING INSULIN SECRETIONFactors that Increase Insulin SecretionFactors that decrease Insulin Secretion# Increased blood glucose# Increased blood free fatty acids# Increased blood amino acids# Gastrointestinal hormones (gastrin, cholecystokinin, secretin, gastric inhibitory peptide)# Glucagon, growth hormone, cortisol# Parasympathetic stimulation; acetylcholine# beta-Adrenergic stimulation# Insulin resistance; obesity# Sulfonylurea drugs (glyburide, tolbutamide)# Decreased blood glucose# Fasting# Somatostatin# alpha-Adrenergic activity# Leptin